Which of the following general anaesthetic agent has the least analgesic action?
1. N2O
2. Halothane
3. Ether
4. Propane

Correct answer: 2. Halothane

Explanation: Halothane is a potent inhalational anaesthetic but is not a good analgesic or muscle relaxant. It potentiates the effect of competitive neuromuscular blockers.